Renal calculi associated with proteus infection
1. Uric acid
2. Triple phosphate
3. Calcium oxalate
4. Xanthine

Correct answer: 2. Triple phosphate

Explanation: Triple phosphate or struvite( Calcium phosphate with ammonium magnesium phosphate ) is smooth and dirty white, grows in alkaline medium. Proteus being urea splitting organism splits urea to give ammonium which provides the required alkaline medium. Reference : page 1292 Bailey and Love's short practice of surgery 26th edition